In which type of injuries, contre-coup lesions are observed?
1. Gunshot wound
2. Head injury
3. Wound in abdomen
4. Chest wound

Correct answer: 2. Head injury

Explanation: Contrecoup lesions are seen in head injuries. They are chiefly due to local distortion of the skull, and sudden rotation of the head resulting from blow, which cause shear strains due to the pulling apart of the constituent particles of the brain. Coup means that the injury is located beneath the area of impact, and results directly by the impacting force. Contrecoup means that the lesion is present in an area opposite the side of impact. Ref: Essentials of Forensic Medicine and Toxicology by Narayan Reddy, 27th edition, Page 221.